Which of the following is not used as emergency contraceptive?
1. Danazol
2. Levonorgestrel
3. Mifepristone
4. IUCD

Correct answer: 1. Danazol

Explanation: Isoxazole derivative of 17 - alpha ethinyl testosterone properties Causes atrophy of endometrium It is strictly antigonadotropin but acts as an androgen agonist Mode of action Acting on the hypothalamo - pituitary - gonadal axis - depression of frequency of GnRh pulses - suppression of pituitary FSH and LH surge. There is however no change in the basal gonadotropin level Indication of danazol Endometriosis DUB Symptomatic fibroid Precocious puberty